Fracture of the Hyoid bone and thyroid cartilage with neck muscle bruising suggests a diagnosis of:
1. Strangulation
2. Hanging
3. Choking
4. Gagging

Correct answer: 1. Strangulation

Explanation: Fracture of the Hyoid bone and thyroid cartilage with neck muscle bruising suggests a diagnosis of strangulation. Injury to the neck muscles, fracture of the Hyoid bone and thyroid cartilage are rare in hanging than strangulation. Ref: Text Book of Forensic Medicine and Toxicology: Principles and Practice By Krishnan Vij, Page 172; The Essentials of Forensic Medicine and Toxicology By Dr K S Narayan Reddy, 27th Edition, Chapter 14, Pages 299-321; Parikh's Textbook of Medical Jurisprudence and Toxicology, 6th Edition, Page 3.53